TB research centre located at
1. Chennai
2. Bangalore
3. Kolkatta
4. Delhi

Correct answer: 1. Chennai